"Hypopyon sign" is seen in
1. Impetigo contagiosa
2. Bullous impetigo
3. Ecthyma gangreonosum
4. Botryomycosis

Correct answer: 2. Bullous impetigo

Explanation: Bullous impetigo is caused by Staphylococcus.aureus characterized by skin blisters.
Pus in the skin blisters settle down and this is called as "Hypopyon sign"